Mechanism of action of cholera toxin is
1. Ganglioside
2. Adenyl cyclase
3. Both 1 and 2
4. Exotoxin

Correct answer: 3. Both 1 and 2

Explanation: CHOLERA ENTEROTOXIN Light (L) toxin : Binds with ganglioside in epithelial cell membrane Heavy(H) toxin : Activates Adenyl cyclase in Epithelial cell wall which increase camp, leading to outpouring of isotonic fluid in lumen of intestine Ref: Park 25th edition Pgno : 253